Cause ofvasodilatation in spider nevi-
1. Estrogen
2. Testosterone
3. Hepatotoxins
4. FSH

Correct answer: 1. Estrogen

Explanation: The dilation, in turn, is caused by increased estrogen levels in the blood. Individuals with significant liver disease also show many spider angiomas, as their liver cannot metabolize circulating estrogens, specifically estrone, which derives from the androgen androstenedione. Ref Davidson edition23rd pg 869